Methylergometrine is used in the prophylaxis of
1. Migraine
2. Postpartum hemorrhage
3. PIH
4. None of the above

Correct answer: 2. Postpartum hemorrhage